Most common cause of subarachnoid hemorrhage IS
1. AV malformation
2. Cavernous angioma
3. Aneurysm
4. Hypertension

Correct answer: 3. Aneurysm

Explanation: *Commonly result from rupture of congenital berry aneurysms in the interpeduncular cistern Ref Harrison20th edition pg 2344